CAD predisposing factors-a)  Homocysteinemiab)  ↓ Lipoprotein Bc)  ↑ Fibrinogend)  ↑ HDLe)  ↑ plasminogen activator inhibitors 1
1. acd
2. bde
3. cde
4. ace

Correct answer: 4. ace

Explanation: Homocysteine and Prothrombotic (↑ fibrinogen and ↑ plasminogen activator inhibitors) factors are emerging risk factors for atherosclerosis and coronary heart disease.